Which one of the following is the cause of non - cardiogenic pulmonary oedema seen in immunologic blood transfusion reaction -
1. Antibody to lgA in donor plasma
2. Antibody to donor leukocyte antigen
3. Donor antibody to leukocyte of patient
4. RBC incomapatibility

Correct answer: 3. Donor antibody to leukocyte of patient